Life style modification (discouraging children from adopting harmful lifestyles) is:
1. Primary level of prevention
2. Secondary level of prevention
3. Tertiary level of prevention
4. Primordial prevention

Correct answer: 4. Primordial prevention

Explanation: Ans. D i.e. Primordial prevention Primordial prevention is defined as prevention of the development of risk factors before they happen.